By pinhole visual acuity is neutralized till:
1. 1 D
2. 2 D
3. 3D
4. 4D

Correct answer: 3. 3D

Explanation: Ans. (c) 3 DRef.: A.K. Khurana 6th ed. /578* By pinhole test visual acuity can be neutralized till 3 D. It can't accommodate more than that.* It is a test to distinguish a refractive error from organic disease.* A refractive error may, be corrected with glasses, whereas organic disease may signal the development of preventable blindness. If visual acuity is improved after pin hole test, the defect is refractive; if not, it is organic.# Pinhole improves vision: refractive error, peripheral cataract# Pinhole worsen vision: Macular diseases, central lens opacities# Vision static with pinhole: Amblyopia